The spinal cord in infants ends at the level of -
1. L1
2. L2
3. L3
4. L4

Correct answer: 3. L3

Explanation: In newborn, spinal cord ends at L3 vertebrae.